pH = 7.27, HCO3= 10 mEq/dl and pC02 = 23 mm Hg:
1. Metabolic acidosis
2. Metabolic alkalosis
3. Respiratory acidosis
4. Respiratory alkalosis

Correct answer: 1. Metabolic acidosis

Explanation: Applying Winter's formula Estimated pCO2 = {HCO3 x 1.5} + 8 +2 = {10 x 1.5} + 8+2 = 21-25 Since the actual pCO2 falls within the estimated range, we can deduce that the compensation is adequate and there is no separate respiratory disorder present